Internucleosomal cleavage of DNA is characteristic of:
1. Reversible cell injury
2. Irreversible cell injury
3. Necrosis
4. Apoptosis

Correct answer: 4. Apoptosis

Explanation: . Apoptosis